All of the following cortical areas contribute fibers to the corticospinal tract, EXCEPT:
1. Primary motor cortex (precentral gyrus)
2. Premotor cortex
3. Inferior temporal cortex
4. Primary somatosensory cortex (postcentral gyrus)

Correct answer: 3. Inferior temporal cortex

Explanation: Corticospinal and corticobulbar tract neurons are pyramidal shaped and located in layer V of the cerebral cortex. About 31% of the corticospinal tract neurons are from the primary motor cortex. The premotor cortex and supplementary motor cortex account for 29% of the corticospinal tract neurons. The other 40% of corticospinal tract neurons originate in the parietal lobe and primary somatosensory area in the postcentral gyrus. The inferior or ventral temporal cortex does not contribute fibers to the corticospinal tract. Ref: Barrett K.E., Barman S.M., Boitano S., Brooks H.L. (2012). Chapter 12. Reflex and Voluntary Control of Posture & Movement. In K.E. Barrett, S.M. Barman, S. Boitano, H.L. Brooks (Eds), Ganong's Review of Medical Physiology, 24e.